Mutation of Wilm's tumor is located on?
1. 13p 14
2. 13q 14
3. 11p 13
4. 11q 13

Correct answer: 3. 11p 13

Explanation: llp 13 REF: Sabiston's 18th ed chapter 71 Despite the number of genes implicated in the genesis of this neoplasm, hereditary WT is uncommon. Specific germ line mutations in one of these genes (Wilms' tumor gene-1, WT1) located on the 11p13